Pterygium of nail is seen in?
1. Psoriasis
2. Pemphigus
3. Pemphigoid
4. Lichen planus

Correct answer: 4. Lichen planus

Explanation: Ans. (d) Lichen planusRef: Roxburg 17th ed p 144, Rooks Thed p 42.1-42.14